Dr. Sunil used edrophonium for differentiating a myasthenic crisis from the cholinergic crisis. He preferred it over other anticholinesterase agents because of its:
1. Shorter duration of action
2. Longer duration of action
3. Direct action on muscle end plate
4. Selective inhibition of true cholinesterase

Correct answer: 1. Shorter duration of action

Explanation: Edrophonium- Short-acting anticholinesterase.
In Myasthenia gravis, edrophonium improves the condition.